Toxin involved in the streptococcal toxic shock syndrome is:
1. Pyrogenic toxin
2. Erythrogenic toxin
3. Hemolysin
4. Neurotoxin

Correct answer: 1. Pyrogenic toxin

Explanation: Streptococcal TSS is caused by pyrogenic exotoxin. Ref: Text Book of Microbilogy By Ananthanarayan, 8th Edition, Page 208-209 ; Harrison's Principles of Internal Medicine, 14th Edition, Page 889, 15th Edition, Page 903